Acute toxoplasmosis is commonly associated with all of the following except
1. Cervical lymphadenopathy
2. Axillary lymphadenopathy
3. Muscle pain
4. Myocarditis

Correct answer: 4. Myocarditis

Explanation: Myocarditis is a rare complication of acute toxoplasmosis